indications of FESS:
1. Inverted papilloma
2. Orbital abscess
3. Nasal polyposis
4. All

Correct answer: 4. All

Explanation: Ans. is all [indications of Function) endoscopic Endoscopic Surgery (FESS) Nasal conditions: Indian = Inflammation of sinus (sinusitis - chronic and fungal) Prime = Polyp removal Minister = Mucocelea of frontal and ethmoid sinus Can = Choanal atresia repair Speak = Septoplasty Fluent = Foreign body removal English = Epistaxis Other conditions: Nose is separated from orbit by lamina papyracea, anterior cranal fossa by cribriform plate and pituitary by sphenoid. Hence FESS can be used in: Orbital conditions - Orbital decompression - Optic nerve decompression - Blow out of orbit - Drainage of periorbital abscess - Dacryocystorhinostomy CSF leak Pituitary surgery like trans sphenoid hypophysectomy